Earliest sensation to be lost in Hansens disease is:-
1. Pain
2. Touch
3. Vibration
4. Temperature

Correct answer: 4. Temperature

Explanation: First sensation to be lost in leprosy: Temp ( cold > hot) Patients cannot sense extremes of hot or cold. The next sensation lost is touch (light pressure), followed by pain and finally deep pressure. MC cranial nerve involved: Facial MC peripheral nerve involved: Ulnar>Posterior Tibial